Rheumatoid arthritis pericarditis is -
1. Serous
2. Fibrinous
3. Serofibrinous
4. Adhesives

Correct answer: 2. Fibrinous